A child came to the casualty with tetany. what will you do:
1. Inj. Phenytoin
2. Inj. Phenobarbitone
3. Inj. Calcium gluconate
4. Wait and watch

Correct answer: 3. Inj. Calcium gluconate

Explanation: Ans: c (Inj .calcium gluconate) Ref: Nelson, 18th ed, p. 258; OP Ghai, 6th ed, p. 88Hypocalcemia may manifest with jitteriness, tetany, caipopedal spasms, laryngospasm and seizures.Signs of latent tetany(1) Trousseau's sign- caipopedal spasm of forearm and hand(2) Chovsteks sign- twitching of the orbicularis oculi and mouth by tapping the facial nerve anterior to the external auditory meatus.Management of hypocalcaemiaTetany, laryngospasm and seizures must be treated immediately with 2 ml/kg of 10% of calcium gluconate intravenously and upto a maximum of 10 ml.This must be administered slowly under cardiac monitoring.